Restrictive cardiomyopathy is seen in ?
1. Amylodosis
2. Fatty change of heart
3. Viral myocarditis
4. Doxorubicin toxicity

Correct answer: 1. Amylodosis

Explanation: Micrograph of cardiac amyloidosis, a cause of restrictive cardiomyopathy. Restrictive cardiomyopathy (RCM) is a form of cardiomyopathy in which the walls of the heart are rigid (but not thickened). Thus the heart is restricted from stretching and filling with blood properly . Ref Harrison 20th edition pg 1576